Resuscitation of a child with HR<60/min includes all of the following, except
1. Chest compression
2. Adrenaline
3. Endrotracheal tube intubation
4. Never give atropine

Correct answer: 4. Never give atropine

Explanation: Ref. The Short Textbook of Pediatrics. Pg 271
Atropine is considered when there is a AV block